Portal hypertension is said to be present if portal venous pressure is more than:
1. 3-5 mm Hg
2. 5-8 mm Hg
3. 10-12 mm Hg
4. 15-20 mm Hg

Correct answer: 3. 10-12 mm Hg

Explanation: Ans. C: 10-12 mm HgNormal portal pressure is generally defined between 5 and 10 mm Hg.Portal hypertension results when the portal pressure rises to 12 mm Hg or greater and complications can arise, such as varices and ascites.Many conditions are associated with portal hypertension, of which cirrhosis is the most common cause